The treatment for a case of virilizing adrenal hyperplasia is:
1. Estrogens
2. Antiandrogens
3. ACTh
4. Cortisone

Correct answer: 4. Cortisone